ICDS meals for pregnant women provides ?
1. 300 calories & 10 grams protein
2. 500 calories & 15 grams protein
3. 600 calories & 10 grams protein
4. 600 calories & 20 grams protein

Correct answer: 4. 600 calories & 20 grams protein

Explanation: Ans. is d i.e., 600 calories & 20 grams protein Under ICDS Scheme supplementary nutrition is given to: Children below 6 yrs Nursing mothers Expectant mothers The aim is to supplement nutritional intake for Each child 6-72 months of age 500 calories and 12-15 grams of protein (financial norm of Rs 6.00 per child per day). Severely malnourished child 6-72 months of age - 800 calories and 20-25 grams protein (financial norm of Rs 6.00 per child per day). Each pregnant and nursing woman - 600 calories and 18-20 grams of protein (financial norm of Rs 5.00 per beneficiary per day). Under the revised nutritional and feeding norms for supplementary nutrition, State goverments/UTs have been mandated to provide more than one meal to the children who come to AWCs, which include providing a morning snack in the form of milk/banana/egg/seasonal fruit/micronutrient fortified food followed by a hot cooked meal. For children below 3 years of age and pregnant & lactating mothers, "take home ration" is to be provided. Supplementary nutrition is given for 300 days a year.